Aspergillus causes all except ?
1. Bronchopulmonary allergy
2. Otomycosis
3. Dermatophytosis
4. Allergic sinusitis

Correct answer: 3. Dermatophytosis

Explanation: Ans. is 'c' i.e., Dermatophytosis